Maximum risk to foetus occurs when maternal infection with rubella occurs during which of the following time:
1. 6-12week
2. 12-l8week
3. 14-20week
4. 20-24week

Correct answer: 1. 6-12week

Explanation: Ans. (a)6-12week In general, the earlier in pregnancy infection occurs, the greater the damage to the fetus. Maximum damage to the fetus occurs when infection is acquired in the first trimester of pregnancy.During acute rubella in pregnancy, the rate of congenital infection is over 90% in the 12 first weeks of pregnancy, approximately 60% in weeks 13 to 17, 25% in weeks 18 to 24 and then increases again during the last month of pregnancy